Viral gastroenteritis may be caused by all of the following in infant and young children except
1. Enterovirus
2. Coronavirus
3. Calcivirus
4. Adenovirus

Correct answer: 1. Enterovirus

Explanation: Coronavirus may cause enteritis or colitis in neonates and infants. Calcivirus is best known for causing large, explosive diarrhea outbreaks among older children and adults. Enteric adenovirus are a common cause of viral gastroenteritis in infants and children causing mild to moderate watery winter diarrhea. Reference: Nelson textbook of pediatrics 19th edition Page 1134 & 1135